A toddler has few drops of blood coming out of rectum Probable diagnosis is:
1. Juvenile rectal polyp
2. Adenomatous Polyposis Coli
3. Rectal ulcer
4. Piles

Correct answer: 1. Juvenile rectal polyp

Explanation: Ans. a. Juvenile rectal polyp Anesthesia and Craniotomy for Patients with Mass Lesions Craniotomy is commonly undertaken for primary and metastatic neoplasms of the brain. Premedication is best avoided when intracranial hypertension is suspected. Hypercapnia secondary to respiratory depression increases ICP and may be lethal. Patients with normal ICP are usually given a benzodiazepine (diazepam orally or midazolam intravenously or intramuscularly). Corticosteroids and anticonvulsant therapy should be continued until the time of surgery.